Salmonellosis is most common in –
1. Sickle cell anemia
2. Thalasseimia
3. Hemophilia
4. Cystic fibrosis

Correct answer: 1. Sickle cell anemia

Explanation: "Salmonella spp. and S. aureus are the major causes of long bone osteomyelitis complicating sickle cell anemia".   ___ Harrison